Which of the following drugs causes constipation?
1. Propanolol
2. Verapamil
3. Nitroglycerin
4. Captopril

Correct answer: 2. Verapamil

Explanation: It is a Calcium channel blocker. DOC for chronic PSVT Organic (secondary) constipation due to drugs causes e.g.-opiates, sedatives, anticholinergics including antiparkinsonian, antidepressants and antihistaminics, oral iron, clonidine, verapamil. (REF. ESSENTIALS OF MEDICAL PHARMACOLOGY K.D TRIPATHI-6th edition.Page No-530)